Protein level more than 4-5grms/100ml seen in all except:
1. Dentigerous cyst.
2. OKC.
3. Radicular cyst.
4. None.

Correct answer: 2. OKC.